Which of the following thalamic nuclei do not project to neocortex
1. Intra laminar nuclei
2. Reticular nuclei
3. Pulvinar nuclei
4. Anterior thalamic nuclei

Correct answer: 2. Reticular nuclei

Explanation: B. i.e. Reticular nucleiEpithalmus consists of habenular commisure, posterior commisure, and pineal body (but not geniculate body) .Non limbic portion of cerebral hemisphere is k/a Neocortex. Every thalamic nuclei except reticular nuclei sends axon to different part of cortex. The output of reticular nuclei is mainly to other thalamic nuclei. The dorsal group of thalamic nuclei project to neocortex. These are Pulvinar nuclei, Intralaminar nuclei, Anterior (Rostral) nuclei.Ventral posterior nucleus of thalamus include medial (not lateral) lemniscus, spino/solitario/Ei trigemino - thalamic tracts